Which of the following facilitates absorbtion of Iron from the intestine?
1. Phytates
2. Coffee
3. Vitamin C
4. Vitamin B12

Correct answer: 3. Vitamin C

Explanation: Fe3+ is reduced to Fe2+ by ascorbic acid and apical membrane ferrireductases that include duodenal cytochrome b (dcytb). Most of the iron in the diet is in the ferric (Fe3+) form, whereas it is the ferrous (Fe2+) form that is absorbed. Fe3+ reductase activity is associated with the iron transporter in the brush borders of the enterocytes. Gastric secretions dissolve the iron and permit it to form soluble complexes with ascorbic acid (Vit C) and other substances that aid its reduction to the Fe2+ form. Implication: Iron deficiency anemia is a troublesome and relatively frequent complication of partial gastrectomy. Important Topics - Iron bioavailability is affected by the nature of the foodstuff, with heme iron (e.g. red meat) being most readily absorbed. Vegetarians are at an additional disadvantage because certain foodstuffs that include phytates and phosphates reduce iron absorption by approximately 50%. Iron absorption takes place largely in the proximal small intestine and is a carefully regulated process. Iron absorption is influenced by a number of physiologic states. Erythroid hyperplasia stimulates iron absorption even in the face of normal or increased iron stores, and hepcidin levels are inappropriately low. Ref: Barrett K.E., Barman S.M., Boitano S., Brooks H.L. (2012). Chapter 26. Digestion, Absorption, & Nutritional Principles. In K.E. Barrett, S.M. Barman, S. Boitano, H.L. Brooks (Eds), Ganong's Review of Medical Physiology, 24e.